"Blood brain barrier" is present at all of the following sites except :
1. Hebenular nucleus
2. Subfornical organ
3. Cerebellum
4. Pontine nucleus

Correct answer: 2. Subfornical organ

Explanation: B i.e. Subfornical organ